True about tonsils area) Develops from 4th pharyngeal archb) Lymph nodes drains to jugulodigastric nodec) It is endodermal derivatived) Rest on superior constrictor of the pharynxe) Long axis of tonsil is forward and medially
1. abc
2. bcd
3. ac
4. bd

Correct answer: 2. bcd

Explanation: Palatine tonsil develops from 2nd pharyngeal pouch from endodermal lining.
Lymphatics drain into jugulodigastric nodes (upper deep cervical nodes).
Superior constrictor forms the bed of tonsil, i.e. tonsil rests on superior constrictor.
Long axis of tonsil is directed from above downward and backward.